Malaria ?
1. Propagative
2. Cyclopropagative
3. Cyclodevelopmental
4. None of the above

Correct answer: 2. Cyclopropagative

Explanation: Ans. is 'b i.e., Cyclopropagative